Primary immune response is mediated by -
1. IgE
2. IgM
3. IgA
4. IgD

Correct answer: 2. IgM